All these drugs are known to exacerbate psoriasis, except:
1. Lithium
2. Beta blocker
3. Ciclosporin
4. Hydroxychloroquine

Correct answer: 3. Ciclosporin

Explanation: It is a systemic agent used in treatment of psoriasis.